Imaging modality of choice to localize Neuroendocrine tumors?
1. USG
2. CT
3. MRI
4. Somatostatin receptor scintigraphy

Correct answer: 4. Somatostatin receptor scintigraphy

Explanation: Imaging modality of choice to localize Neuroendocrine tumors is Somatostatin receptor scintigraphy. Whole body planar images (A) of a 99m Tc HYNIC TOC study of a recently detected case of pancreatic NET reveals the uptake in the primary (arrow) and the metastatic lesions which are localized on the transaxial SPECT/CT images to correlate with the lesion in the skull (B), a enlarged prevascular node (C) and a tiny pleural based pulmonary nodule (D) which is identified on the correlative CT image (triangulated in E). Another pulmonary nodule is seen as a focus of uptake in the left hemithorax on the whole body planar image (A).